The principle that 'the stimulus must be altered to elicit
a change in the response' is applied in
1. Reinforcement
2. Aversive Conditioning
3. Retraining
4. Modeling

Correct answer: 3. Retraining